Which of the following is recombinant PTH?
1. Teriparatide
2. Cinacalcet
3. Carisoprodol
4. Oxethazaine

Correct answer: 1. Teriparatide

Explanation: Ans. is 'a' i.e., Teriparatide o Teriparatide is a recombinant preparation of 1 - 34 residues of amino terminal of human PTH, introduced for treatment of osteoporosis.